After a single episode of painless gross hematuria in a boy. Doctor performed an excretory urogram showing a filling defect towards the lower renal infundibulum 1.5 cm. in size. What will be the next investigation to be done -
1. Cystoscopy
2. Urine cytology
3. USG
4. Retrograde pyelography

Correct answer: 3. USG

Explanation: There can be various reason for a filling defect on IVP - stones, mass, cyst etc.
They can be very well be diagnosed by USG.